Cholesterol crystals are occasionally present in which of the following Zone?
1. Zone of contamination
2. Zone of irritation
3. Zone of necrosis
4. Zone of stimulation

Correct answer: 2. Zone of irritation